LEVOSIMENDAN acts on the all the following mechanism except ?
1. phosphodiesterase inhibitor 3
2. neprilysin inhibitor
3. potassium channel opener
4. sensitizes myocardium to calcium channels

Correct answer: 2. neprilysin inhibitor

Explanation: Molecular Targets Pharmacological Effects * Calcium sensitisation of the contractile * inotropy without increase of calcium transient and oxygen consumption apparatus by selective binding to calcium * Anti-stunning effect saturated cardiac troponin C * Opening of the ATP-sensitive potassium * Vasodilation (including coronary arteries) channels on the smooth muscle of the vasculature * increase of end-organ perfusion * Opening of the mitochondrial ATP- .Cardioprotection and organ protection Anti-ischaemic effect * sensitive potassium channels REF : KD TRIPATHI 8TH ED